Menopausal hot flushes occur due to
1. FSH secretion
2. Decrease in estrogen
3. Increase in estrogen
4. Increase in progesterone

Correct answer: 2. Decrease in estrogen

Explanation: Hot flashes (also known as hot flushes) are a form of flushing due to reduced levels of estradiol.Ref: Ganong's review of medical physiology;24th edition; page no:-400